Which of the following antifungals cannot be given in candidal infections?
1. Itraconazole
2. Griseofulvin
3. Fluconazole
4. All of the above

Correct answer: 2. Griseofulvin

Explanation: Griseofulvin is not effective in candidal infections.